Spontaneous rupture of the liver occurs in -
1. Hepatoma
2. Portal hypertension
3. Spherocytosis
4. Secondary deposits

Correct answer: 1. Hepatoma

Explanation: Spontaneous rupture of the liver can be seen in both benign and malignant tumors of the liver. Hepatoma or HCC is the most common cause.